Lines of zahn are found in
1. Thrombus
2. Infract tissue
3. Postmortem clot
4. All

Correct answer: 1. Thrombus

Explanation: ref Robbins 9/e p125 Thrombi can have grossly (and microscopically) apparent laminations called lines of Zahn; these represent pale platelet and fibrin layers alternating with darker red cell-rich layers. Such lines are significant in that they are only found in thrombi that form in flowing blood; their presence can there- fore usually distinguish antemortem thrombosis from the bland nonlaminated clots that form in the postmortem state. Although thrombi formed in the "low-flow" venous system superficially resemble postmortem clots, careful evaluation generally reveals ill-defined laminations.